All are related to criminal responsibility of insame except ?
1. Currens rule
2. Durhan rule
3. Mc Naughten rule
4. Resp ispa loquitar

Correct answer: 4. Resp ispa loquitar

Explanation: Ans. is 'd' i.e., Resp ispa loquitar